Colorado Tic fever is caused by:
1. Filoviridae
2. Reoviridae
3. Coronaviridae
4. Calciviridae

Correct answer: 2. Reoviridae

Explanation: Ans. b. Reoviridae